Exenatide is a new drug used in diabetes mellitus. Mechanism of action of this drug is:-
1. Inhibition of DPP- 4
2. Release of insulin acting as agonist of GLP-1 receptors
3. Inhibiting intestinal absorption of carbohydrates
4. Stimulation of PPAR-gamma

Correct answer: 2. Release of insulin acting as agonist of GLP-1 receptors

Explanation: (a) Exogenous GLP-1 agonist --> Exenatide, Liraglutide --> given SC Analogues. (b) DPP-4 Inhibitors --> Sitagliptin, Vildagliptin --> given orally. (c) Inhibition of Intestinal absorption of carbohydrate --> Acarbose. (d) Stimulation of PPAR - gamma --> Piaglitazone, Rosiglitazone